Feature of Post mortem clots are
1. Can be washed away
2. Laminated
3. Rubbery
4. Variegated

Correct answer: 1. Can be washed away

Explanation: Ans. is 'a' i.e., Can be washed away Antemortem vs postmortem woundFeatureAntemortal woundPost Mortem WoundHaemorrhage* Arterial* Blood clotted and the clot is# Laminated# Firmly adherent to the lining of endothelium# Firm, Rubbery and Variegated* Venous* Blood usually not clotted and if clot it is# Non laminated# Weakly adherent to the lining of endothelium# Soft friable chicken fat (yellow) or current jelly (red) appearance# Homogenous* Copious* Deep staining of edges which can't he washed away* Slight* Staining is superficial and can be washed awayWound edgesGapping, Everted, SwollenApposed, not swollenVital reactionSigns of inflammation, infectio (pus, slough) and healing (granulation tissue) presentNot presentEnzyme histo-chemistryNegative and positive vital reactionsVital reaction absentWound serotonin & histamine contentIncreasedNo increaseMicroscopy* Clot has Platelets* Leucocyte & RBC infiltration in between muscle fibres* Clot lacks platelets* No infiltration